Prompt pump inhibitor suppress gastric acid secretion by acting on:
1. H+/ Cl- ATPase pump
2. H+/ K+ ATPase pump
3. Na+ / K+ ATPase pump
4. Na+ / K+ /Cl-ATPase pump

Correct answer: 2. H+/ K+ ATPase pump

Explanation: PPIs(proton pump inhibitor): - Irreversible inhibitors- Example of HIT and RUN drugs- Exerts systemic effect: normally acid labile, given with acid resistant coating.- DOC for: PUD, GERD, Zollinger Ellison syndrome- Prompt pump inhibitor suppress gastric acid secretion by acting on H+/K+ pump. Side effect: (chronic use): - Osteoporosis(decrease calcium)- Megaloblastic anemia(decrease vitamin B12)- Infection